Bromodeoxyuridine in DNA is related to
1. Uracil
2. Adenosine
3. Cytosine
4. Thymidine

Correct answer: 4. Thymidine

Explanation: Bromodeoxy uridine is thymidine analogue.